Ferning of cervical mucus disappears after -day of menstrual cycle
1. 7th
2. 15th
3. 18th
4. 21st

Correct answer: 4. 21st

Explanation: 21st